Vitamin B12 is mainly absorbed from?
1. Duodenum
2. Jejunum
3. Ileum
4. Colon

Correct answer: 3. Ileum

Explanation: ANSWER: (C) IleumREF: Ganong, 22nd edition, p471Bile salts and vitamin B12 are mainly absorbed by ileumIron and vitamins (other than B12) are absorbed mainly from proximal small intestine (duodenum and jejunum)Maximum fat absorption- JejunumLong chain fatty acid absorption- Duodenum+ JejunumShort chain fatty acid- Colon